A 32-yrs-old man visits you for a periodic health examination. He has no complaints at this time. He is 170 cm (5 ft 7 in) tall and weights 75 kg. In this patient, the volumes of total body water, intracellular fluid, and extracellular fluid are, respectively.
1. 40L, 30L, 10L
2. 45L, 30L, 15L
3. 45L, 35L, 10L
4. 50L, 25L, 25L

Correct answer: 2. 45L, 30L, 15L

Explanation: Total body water (TBW) in liters equals approximately 60% of body weight in kilograms and therefore equals 45 L in a 75-kg person. Intracellular volume = 2/3 of TBW and is therefore 30 L in this case. Extracellular volume = 1/3 of TBW and is therefore 15 L in this case.